All of the following drugs can SLE like syndrome except?
1. INH
2. chloramphenicol
3. Hydralazine
4. Sulphonamide

Correct answer: 2. chloramphenicol

Explanation: SLE producing drugs- SHIP-code sulphonamides hydralazine isoniazid Procainamide Ref: KD Tripathi 8th ed